Melanin is formed from which aminoacid?
1. Phenylalanine
2. Tyrosine
3. Tryptophan
4. Histidine

Correct answer: 2. Tyrosine

Explanation: Ans. is 'b' i.e., TyrosineAmino acidsBiological important compoundTyrosineCatecholamines (epinephrine, norepinephrine, dopamine), thyroxine, triiodothryonine, melanin.(Note : - Phenylalanine is the precursor of tyrosine, thus it can also give rise to all these compounds through tyrosine (phenylalanine - Tyrosine - Catecholamines, thyroxine, T3' melanin).TryptophanVitamin niacin, melatonin, SerotoninGlycine, Arginine, methionineCreatineGlycine, cysteineBile saltsGlycineHemeAspartic acid and glutaminePyrimidine basesGlycine, aspartic acid, glutaminePurine basesb-alanineCoenzyme-AArginineNitric oxideHistidine, Arginine, lysineKeratinMethionine, lysineCarnitineGABAGlutamateGlutamate, cysteine, glycineGlutathione